The immunity responsible for to control epidemic spread of a pathogen
1. Innate immunity
2. Active acquired immunity
3. Herd immunity
4. Passive natural immunity

Correct answer: 3. Herd immunity

Explanation: Herd immunity-
Overall immunity of a community to a pathogen
If Herd immunity is good- chance of epidemic is less
Eradication of a communicable disease- depends on good Herd immunity
Provided by mass vaccination by live vaccination to all individual at same time.